One of the following infection is caused by anaerobic gram-positive cocci
1. Puerperal infection
2. Food poisoning
3. Endocarditis
4. Septicemia

Correct answer: 1. Puerperal infection

Explanation: Anaerobic gram-positive cocci are normal inhabitants of the vagina, intestine and mouth. They may cause several clinical infections such as puerperal sepsis, wound infection, gangrenous appendicitis, urinary tract infections, osteomyelitis and abscesses in various organs. They are often seen in lare numbers in pus from supurative lesions, so a Gram stained smear may be helpful in diagnosis. Peptostreptococcus anaerobicus is most often responsible for peurperal sepsis and pst magnus for abscess. Reference: Textbook of Microbiology; Anathanarayan and paniker's; 10th edition; Page no: 274